You are performing an autopsy on a person suspected to have died from arsenic poisoning. Which of the following tissues will hold the maximum concentration of arsenic?
1. Liver
2. Kidney
3. Spleen
4. Bone

Correct answer: 1. Liver

Explanation: Metallic arsenic is non toxic since it is not absorbed in the GIT. Compounds like arsenic trioxide is absorbed after consumption and initially the largest concentration is seen in the liver followed by kidney and spleen. If death doesn't occur in a few weeks it will be present in bones, hair, nails etc. The arsenic in the bones may be detected even in the charred bones or ash obtained after cremation. Ref: Textbook of Forensic Medicine by Narayana Reddy, Edition 20, Page - 465